Medical etiquettes are between which of the following categories?
1. Medical professionals
2. Medical professionals and pharmaceutical companies
3. Medical professionals and patients
4. Pharmaceutical companies and patients

Correct answer: 1. Medical professionals

Explanation: Medical etiquette deals with the conventional laws of courtesy observed between members of the medical profession. A doctor should behave with his colleagues as he would have them behave with himself. Ethical behaviour is a self-imposed duty upon each doctor. A doctor should not criticise or denigrate the professional ability of another doctor, while dealing with a patient. Ref: The Essentials of Forensic Medicine and Toxicology by Dr. K. S. Narayan Reddy, 27th edition, Page 1.